Sievert is a unit of
1. Radioactivity
2. Radiation exposure
3. Absorbed dose
4. Dose equivalent

Correct answer: 4. Dose equivalent

Explanation: Ans. is'd'i.e., Dose equivalentRef: A Textbook of Sciencefor the Health Professions p. 132Sievert is new (Sl) unit of dose equivalent replacing Rem